A 32 year old patient with history of recurrent headache was sent for fundus evaluation. He was found to be having generalized arterial attenuation with multiple cotton wool spots and flame shaped haemorrhages in both eyes. The most likely cause is:
1. Diabetic retinopathy
2. Hypertensive retinopathy
3. Central retinal artery occlusion
4. Temporal arteritis

Correct answer: 2. Hypertensive retinopathy

Explanation: Hypertensive retinopathy